Which of the following is a specific sign of fetal death characterized by overlapping of skull bones?
1. Spalding's sign
2. Buddha sign
3. Helmer's sign
4. Any of the above

Correct answer: 1. Spalding's sign

Explanation: Ans. a (Spalding's sign) (Ref. Reddy FMT 23rd ed., p 87)Intrauterine fetal death# A specific sign of fetal death is absent cardia Somatic motion# Non specific signs of fetal death (not seen before 48 hours after death):- Spalding sign--overlapping fetal skull bones- 'Halo ' sign of head--due to scalp edema- Dolichocephaly- Same/decreased BPD measurement compared with prior exam- Gas in fetal vascular system- Skin edema and fetal maceration- Increased echoes in amniotic fluid# Vanishing Twin--disappearance of one twin in utero due to complete resorption /anembryonic pregnancy# Fetus papyraceus--compression and mummification of one fetus with risk also to the surviving fetus.